Which of the following hepatitis viruses has significant perinatal transmission -
1. Hepatitis E virus
2. Hepatitis C virus
3. Hepatitis B virus
4. Hepatitis A virus

Correct answer: 3. Hepatitis B virus